All are true about N2O except
1. Colour of cylinder is blue
2. Priestly was the first to prepare it
3. Stored in cylinder as gas
4. It is prepared by heating ammonium nitrate

Correct answer: 3. Stored in cylinder as gas

Explanation: Stored in cylinder as gas It is stored as a liquid in the cylinder.